To achieve a net reproduction rate (NRR) of 1, the couple protection rate (CPR) should be:
1. 20%
2. 30%
3. 40%
4. 60%

Correct answer: 4. 60%

Explanation: Ref. Foundations of Community medicine. Page. 113
 
Couple Protection Rate (CPR)
• It is an indicator of the prevalence of contraceptive practice in the community
• Definition: the percentage of eligible couples effectively protected against childbirth by one or the other approved methods of family planning
– Sterilization
– IUD
– Condom
– OCP’s
• NRR = 1 can be achieved only if the CPR > 60%